Dementia of Alzheimer's type is not associated with one of the following:
1. Depressive symptoms
2. Delusions
3. Apraxia and aphasia
4. Cerebral infarcts

Correct answer: 4. Cerebral infarcts

Explanation: Alzheimer's disease is a type of Cortical dementia -Cognitive impairment Amnesia Disturbance of memory Apraxia Aphasia -Behavioral and psychological symptoms of depression Personality changes Delusion / Hallucinations Catastrophic reaction Cerebral infarcts are associated with vascular dementia